Renal collar which surrounds the aorta has its two limbs split by -
1. Left renal vein
2. Left renal artery
3. Isthumus of horseshoe kidney
4. All of the above

Correct answer: 1. Left renal vein

Explanation: Ans. is 'a' i.e., Left renal vein The left renal vein normally passes anterior to the aorta to join the I.V.C. However sometimes the left renal vein may divide and send one limb anterior and one posterior to the aorta to reach the inferior vena cava k/a venal collar representing persistence of embryological state. Also remember The most common anatomic variant of the renal vessels is --> supernumerary renal arteries.